Hypomagnesemia is associated with which of the following -
1. Alcoholism
2. Hypothyroidism
3. Both
4. None

Correct answer: 1. Alcoholism